Treatment for streptococcal necrotizing fascitis -a) Surgical debridement b) Penicillinc) Clindamycind) Metronidazolee) Vancomycin
1. ab
2. bc
3. acd
4. abc

Correct answer: 4. abc